Anterior lenticonus is found in
1. Alport syndrome
2. Lowe's syndrome
3. Down syndrome
4. Willium syndrome

Correct answer: 1. Alport syndrome

Explanation: Alports syndrome is familial hemorrhagic nephritis Refer: Khurana 6th edition page number 218